Palpatory thud, audible slap is seen in
1. Tracheal foreign body
2. Bronchial foreign body
3. Laryngeal foreign body
4. None

Correct answer: 1. Tracheal foreign body

Explanation: A sharp foreign body will only produce a cough and haemoptysis. A loose foreign body like seed may move up and down the trachea between the carina and the undersurface of vocal cords causing "audible slap" and "palpatory thud." Asthmatic wheeze may also be present. It is best heard at the patient's open mouth. Ref: PL Dhingra 7th edition of Ear, Nose and Throat; Pg no 365